In starvation, nitrogen is carried from muscle to liver and kidney by
1. Alanine
2. Aspartic acid and Serine
3. Glycine
4. Asparagines

Correct answer: 1. Alanine

Explanation: Transport of alanine from muscle to liver (glucose-alanine cycle) has two functions :-

Providing substrate for gluconeogenesis
Transport of ammonia (NH4+) to liver for urea synthesis